In which of the following conditions left atrium is not enlarged
1. Ventricular septal defect
2. Atrial septal defect
3. Aortopulmonary window
4. Patent ductus arteriosus

Correct answer: 2. Atrial septal defect

Explanation: In ASD left atrium does not enlarge unless associated with other anomalies like mitral regurgitation . Ref : Ghai essential of pediatrics,eighth edition P.no: 413